Which among the following is known as 'Eaton agent' which causes respiratory infection?
1. Corynebacterium
2. Pseudomonas
3. Mycoplasma
4. Streptococcus

Correct answer: 3. Mycoplasma

Explanation: M. pneumoniae pneumonia is also referred to as Eaton agent pneumonia (the organism having first been isolated in the early 1940s by Monroe Eaton), primary atypical pneumonia, and "walking" pneumonia. A mild tracheobronchitis with fever, cough, headache, and malaise is the most common syndrome associated with acute M pneumoniae infection. The pneumonia is typically less severe than other bacterial pneumonias. It has been described as "walking" pneumonia because most cases do not require hospitalization. Ref: Hardy R.D. (2012). Chapter 175. Infections Due to Mycoplasmas. In D.L. Longo, A.S. Fauci, D.L. Kasper, S.L. Hauser, J.L. Jameson, J. Loscalzo (Eds), Harrison's Principles of Internal Medicine, 18e.